A patient presenting with tense bullae on erythematous base. On histopathological examination following can be seen?
1. Subcorneal split
2. Sub epidermal split
3. Fishnet pattern
4. Raw of tomb stones appearance

Correct answer: 2. Sub epidermal split

Explanation: Ans. is 'b' i.e., Sub epidermal split * Tense bullae on erythematous base on erythematous base are characteristic presentation of bullous pemphigoid. Bullous pemphigoid is a sub epidermal blistering disorder.* Characteristic histopathological finding of BP is sub epidermal split with relatively normal epidermis and mixed inflammatory infiltrate consisting of numerous eosinophils, mononuclear cells and few neutrophills.